Pea-soup stool is characteristically seen in -
1. Cholera
2. Typhoid
3. Botulism
4. Polio

Correct answer: 2. Typhoid